In Shigella dysentery associated hemolytic uremic syndrome, the false statement is
1. Leucocytosis
2. Neurological abnormalities
3. Hepatic failure
4. Thrombotic angiopathy

Correct answer: 3. Hepatic failure

Explanation: Hemolytic Uremic Syndrome (HUS)Salient featuresLaboratory findingsVessel wall disorder characterized by deposition of localized platelet and thrombi within the renal vasculature (afferent arterioles and glomerular capillaries are most commonly affected).Presents with microangiopathic hemolytic anemia (microangiopathic destruction of RBC), thrombocytopenia or bleeding (microangiopathic destruction of platelets), renal failure.MC organism isE. coli 0157:H7 all over the world.Shigella dysenteriae type I is MC in India and Bangladesh1. Anemia: Microangiopathic hemolyticRed blood cell fragmentation on peripheral smearHelmet cells/Burr cells 2. Thrombocytopenia 3. WBC counts rise 4. LDH levels are elevated out of proportion to degree of hemolysis5. Coombs' test is negative6. Tests of coagulation are normal (exclude DIC) with the Exception of - elevatedfibrin degradation products (explains hypofibrinogenemia)(Refer: Harrison's Principles of Internal Medicine, 18th edition, pg no: 970, 1283)